Incidence of rupture classical c-section is ?
1. 0.5 - 1.5%
2. 2-5%
3. 4-9%
4. >10%

Correct answer: 3. 4-9%

Explanation: 4-9% REF: Dutta 6th ed p. 594 Risk of scar rupture in future pregnancy LSCS - 0.5 - 1.5% Classical - 4-9%